In a case control study, the most characterstic feature is -
1. Odds ratio estimation
2. Problem bias
3. Yield incidence rate
4. Expensive

Correct answer: 1. Odds ratio estimation

Explanation: Odds ratio is a measure of the strength of association between risk factor and outcome (refer pgno:73 park 23 rd edition)